A 30 year old male patient was on Isoniazid therapy for Tuberculosis.He developed rashes on exposed parts of body.He has disoriented memory. Family members gives history of diarrhea also.What is the diagnosis?
1. Isoniazid neuropathy
2. Tuberculosis skin lesions
3. Niacin deficiency
4. Some other drugs has caused this

Correct answer: 3. Niacin deficiency

Explanation: Isoniazid inhibits the endogenous syntheisis of Niacin so,the patient developed dermatitis,diarrhea,dementia. Prolonged treatment with Isoniazid leads to Pyridoxine deficiency,which is required for endogenous synthesis of niacin Reference: Harpers illustrated biochemistry 30th edition